Smudge cells in the peripheral smear are characteristic of:
1. Chronic myelogenous leukemia
2. Chronic lymphocytic leukemia
3. Acute myelogenous leukemia
4. Acute lymhoblastic leukemia

Correct answer: 2. Chronic lymphocytic leukemia

Explanation: In CLL the peripharal blood contains increased number of small round lymphocytes with scant cytoplasm. These cells are fragile and are frequently disrupted in the process of making smears,producing so called smudge cells.(ref Robbins 7th/673)